Anti-PLA2R antibody is commonly found in which of the following renal diseases?
1. Anti-GBM disease
2. Focal segmental glomerulosclerosis
3. Membranous nephropathy
4. Dense deposit disease

Correct answer: 3. Membranous nephropathy

Explanation: Antibodies against PLA2R antigen is found in most cases of primary membranous nephropathy. Anti-GBM disease: Antibodies against NC1 domain of type IV collagen antigen, cause of crescentic glomerulonephritis, linear IgG deposits along GBM in IF Dense deposit disease: Acquired or genetic dysregulation of the alternative complement pathway, C3 deposits in IF, dense deposits on electron microscopy) Focal segmental glomerulosclerosis: Cause of nephrotic syndrome, podocyte injury is implicated in pathogenesis, microscopy shows focal and segmental sclerosis and hyalinosis in the glomeruli, IgM+C3 deposits in IF